Which one of the following blood fractions is stored at - 40oC
1. Cryoprecipitate
2. human albumin
3. Platelet concentrate
4. Packed red cells

Correct answer: 1. Cryoprecipitate

Explanation: Red Cells 42 days with the appropriate additives( SAG-M) 2-6 oC Platelets 5 days 20-24 oC Cryoprecipitate 2yrs At - 30degC It is a supernatant precipitate of FFP and is rich in factor VIII and fibrinogen. Ref: Bailey and love. 27th edition. Pg no:21